Nuchal translucency is used in -
1. Head scan
2. MRI neck
3. ANC USG
4. Anthropometry

Correct answer: 3. ANC USG

Explanation: Ans. is 'c' i.e., ANC USGo Nuchal translucency is used for screening of down syndrome in antenatal USG.